Definitive host is one in which the following lives -
1. Larvae
2. Asexual form
3. Adult form
4. A or B

Correct answer: 3. Adult form

Explanation: HOST A host is a person or other animal, including birds and arthropods that affords subsistence or lodgement to an infectious agent under natural conditions. Definitive host (primary host): A host in which parasite attains maturity or passes its sexual stage. Intermediate host(secondary host), A host in which larval or asexual stage is passed. Transport host- carrier is alive but does not undergo development. Park's textbook of preventive and social medicine.K Park. Edition 23.page no:93